Which is the most common brain tumor
1. Secondaries
2. Medulloblastoma
3. Glioblastoma
4. Craniopharyngioma

Correct answer: 1. Secondaries

Explanation: Ans. (a) SecondariesRef: Sabiston 20th Page 1915* MC tumors in brain-Metastasis (70% are multiple)* MC site of Mets-Cerebral hemispheres.* MC primary to produce Brain secondary- LUNG > BREAST* MC Suprasellar mass in Children-Craniopharyngioma* MC suprasellar mass in adults- Pituitary adenoma